Thaliomide is used in all except ?
1. ENL
2. HIV neuropathy
3. HIV associated ulcer
4. Behcet's syndrome

Correct answer: 2. HIV neuropathy

Explanation: Ans. is 'b' i.e., HIV neuropathy